Cold sterilization is done by:
1. Steam
2. Inionizing radiation
3. Infra red
4. UV

Correct answer: 2. Inionizing radiation

Explanation: Ans. B: Inionizing radiation Cold sterilization is a process in which sterilization is carry out at low temperature with the help of chemicals, radiations, membranes and all other means excluding high temperature. Ionizing radiation such as X-rays, gamma rays and cosmic rays, cause no appreciable increase in temperature in this method, it is referred as cold sterilization